Sterilisation of media containing serum:
1. Autoclaving
2. Micropore filter
3. Gamma radiation
4. Centrifugation

Correct answer: 2. Micropore filter

Explanation: Ans. is 'b' i.e., Micropore filterSerum, trypsin, growth factors, proteins, amino acids, vitamins and hormones are thermolabile and may decompose during autoclaving, so must be sterilized by Membrane filters.Membrane filters has less pore size than bacteria size and made up with cellulose acetate, cellulose nitrate, polycarbonate etc.